Orthognathic Surgery all are true except
1. Advances pushes back or changes the vertical positions of the mandible and/or maxilla.
2. Using the sagittal split mandibular osteotomy is restricted to the treatment of mandibular retrognathia.
3. May significantly improve the psychological well being of the patient.
4. Employing autologous bone grafts prolongs the hospitalisation of the patient.

Correct answer: 2. Using the sagittal split mandibular osteotomy is restricted to the treatment of mandibular retrognathia.